A patient who had a history of hepatitis one month ago should preferably given which local anaesthetic agent
1. Lignocaine
2. Bupivacaine
3. Procaine
4. Procainamide

Correct answer: 3. Procaine